Period between the possible time of detection and the possible time of diagnosis is
1. Lead time
2. Screening time
3. Generation time
4. Serial interval

Correct answer: 1. Lead time

Explanation: Ans. a (Lead time) (Ref. Park's textbook of PSM 22nd/p 95)Lead Time# It is advantge gained by screening, i.e., period between diagnosis by early detection and diagnosis by other means.# It is period between the possible time of detection and possible time of diagnosis.Latent Period# Time between exposure to a risk factor and subsequent development of clinical manifestations of a particular disease.Sreening Time# Interval between first clinical detection and final critical point.Seriai Interval# Time gap between onset of primary and secondary case. It is the measure of incubation period.